In a chronic smoker with mild haemoptysis. He also gave a history of hypertension and obesity. Lab data showed raised ACTH levels, which were not suppressed by dexamethasone. The cause for the Cushing's syndrome hart the patient is -
1. MEN I
2. Pituitary adenoma
3. Adrenal cortical adenoma
4. Ectopic ACTH secreting tumor

Correct answer: 4. Ectopic ACTH secreting tumor

Explanation: ectopic ACTH production is not suppressed by high dose of dexamethasone (Harrison 17 pg 2256)